All the following are the micro-manipulative methods in Assisted reproductive technique EXCEPT-
1. Intra-cytoplasmic sperm injection
2. Intra-uterine insemination
3. Zona drilling
4. Zona cracking

Correct answer: 2. Intra-uterine insemination